Shingles is caused by:
1. VZV
2. HSV
3. CMV
4. Enterovirus 70

Correct answer: 1. VZV

Explanation: Ans. A. VZV.a. Varicella-zoster virus (VZV) causes two distinct clinical entities: varicella (chickenpox) and herpes zoster (shingles).b. Chickenpox, a ubiquitous and extremely contagious infection, is usually a benign illness of childhood characterized by an exanthematous vesicular rash.c. With reactivation of latent VZV (which is most common after the sixth decade of life), herpes zoster presents as a dermatomal vesicular rash, usually associated with severe pain.